How does staph aureus become resistant to methicillin:
1. Heat shock protein
2. Protein A
3. Transpeptidase
4. Protein C

Correct answer: 3. Transpeptidase

Explanation: Ans. (c) TranspeptidaseRef: Microbiology by Ananthanarayan and Paniker 8th ed. /197, 201-202Resistance develops due to alteration in transpeptidase (penicillin binding protein) on which all beta lactam antibiotics act- so MRSA is resistant to all b-lactam antibiotics.